Urinary tract infection by a gram +ve organism in a young sexually active female is due to -
1. B. Subtilis
2. E. coli
3. Staph. Saprophyticus
4. Strept. pyogenos

Correct answer: 3. Staph. Saprophyticus